All true about sodium Thiopentone except -
1. It is intermediate acting barbiturates
2. It is cerebroprotective
3. It is agent of choice for narcoanalysis
4. It is contraindicated in acute intermittent porphyria

Correct answer: 1. It is intermediate acting barbiturates

Explanation: Thiopentone is ultrashort acting barbiturate. Thiopentone does not produce analgesia and may even produce antianalgesia by reducing the pain threshold. Thiopentone has rapid onset of action (within 30 s) due to high lipid solubility and high non ionized fraction (60%). And ultra-short duration of action (within 20 mins) due to rapid redistribution. Thiopentone does not completely suppress airway responses to laryngoscopy and intubation and may lead to bronchospasm in asthmatics. Thiopentone is cerebro protective: It reduces CSF volume by facilitating its absorption. It decreases CBF and cerebral blood volume, thus lowering intracranial pressure. It also has anticonvulsant property which is advantageous in neurosurgical patients who are at increased risk of seizures.